Most common nerve used for nerve conduction study in H reflex -
1. Median nerve
2. Ulnar nerve
3. Tibial nerve
4. Peroneal nerve

Correct answer: 3. Tibial nerve

Explanation: The H-reflex (or Hoffmann's reflex) is a reflectory reaction of muscles after electrical stimulation of sensory fibers (Ia afferents stemming from muscle spindles) in their innervating nerves (for example, those located behind the knee- Tibial nerve). The H-reflex test is performed using an electric stimulator, which gives usually a square-wave current of short duration and small amplitude (higher stimulations might involve alpha fibers, causing an F-wave, compromising the results), and an EMG set, to record the muscle response. REF : MAHESWARI 9TH ED